Commonest intracranial tumour is?
1. Astrocytoma
2. Medulloblastoma
3. Meningioma
4. Secondaries

Correct answer: 4. Secondaries

Explanation: More than one-quarter of the CNS tumors are secondary metastases arising in patients undergoing treatment for systemic cancer. Both benign and malignant CNS tumors are capable of producing neurologic impairment depending upon their site. Primary CNS tumors or intracranial tumors include :- tumors arising from constituent cells of the brain (with the sole exception of microglial cells) and from the supporting tissues. The anatomic distribution of common intracranial tumors is illustrated Among the primary brain tumors, gliomas constitute 50-60%, meningiomas 25%, schwannomas 10% and other primary tumors comprise the remainder. Some of the important morphologic types are described below. Classification of Intracranial Tumours. I. Tumors OF NEUROGLIA (GLIOMAS) 1. Astrocytoma 2. Oligodendroglioma 3. Ependymoma 4. Choroid plexus papilloma II. Tumors OF NEURONS 1. Neuroblastoma (page 800) 2. Ganglioneuroblastoma 3. Ganglioneuroma III. Tumors OF NEURONS AND NEUROGLIA Ganglioglioma IV. POORLY-DIFFERENTIATED AND EMBRYONAL TUMOURS 1. Medulloblastoma 2. Neuroblastoma 3. PNET V. Tumors OF MENINGES 1. Meningioma 2. Meningeal sarcoma VI. NERVE SHEATH TUMOURS 1. Schwannoma (neurilemmoma) 2. Neurofibroma 3. Malignant nerve sheath tumor VII. OTHER PRIMARY INTRAPARENCHYMAL TUMOURS 1. Haemangioblastoma 2. Primary CNS lymphoma 3. Germ cell tumors VIII. MISCELLANEOUS TUMOURS 1. Malignant melanoma 2. Craniopharyngioma 3. Pineal cell tumors 4. Pituitary tumors IX. Tumor-LIKE LESIONS (epidermal cyst, dermoid cyst, colloid cyst) X. METASTATIC TUMOURS Ref: TEXTBOOK OF PATHOLOGY 6th EDITION - HARSH MOHAN PAGE NO:886